All of the following drugs can worsen angina except:
1. Dipyridamole
2. Oxyphedrine
3. Thyroxine
4. Sumatriptan

Correct answer: 2. Oxyphedrine

Explanation: Oxyphedrine is claimed to improve myocardial metabolism so that the heart can sustain hypoxia better. Dipyridamole can cause 'coronary seal' phenomenon - By dilating resistance vessels nonischemic zone as well, it diverts the already reduced blood flow away from the ischaemic zone. Sumatriptan causes coronary vasoconstriction. Thyroxine increases sympathetic stimulation (REF. ESSENTIALS OF MEDICAL PHARMACOLOGY K.D TRIPATHI-6th edition.Page No-535)